Which of these is a denaturating substance
1. Guanosine
2. Guanidine
3. Glutamate
4. Glycine

Correct answer: 2. Guanidine

Explanation: 8M urea and 6M guanidine hydrochloride are denaturing substances.